Gastrojejernostomy surgery belongs to
1. Clean surgery
2. Contaminated surgery
3. Clean contaminated surgery
4. Dirty surgery

Correct answer: 3. Clean contaminated surgery

Explanation: Clean contaminated surgery :

Wound is exposed to not only skin but also GI tract / Respiratory tract / Urinary tract organism in controlled enviroment.
Hence Gastrojejunostomy surjery belongs to this category.